The most sensitive indicator of depletion of intravascular volume in infant is:
1. Cardiac output
2. Stroke volume
3. Heart rate
4. Blood pressure

Correct answer: 3. Heart rate

Explanation: c. Heart rate(Ref: Nelson's 20/e p 523-525, Ghai 8/e p 715-718)In infants with shock, compensatory increases in cardiac output are achieved primarily by "tachycardia" rather than by increase in stroke volume. Heart rates of 190-210/min are common in infants with compensated shock.